A 22-year-old man has features of arm span greater than height, subluxated lenses, flattened and dilation of the aortic most likely diagnosis is?
1. Ehlers-Danlos syndrome
2. Werner's syndrome
3. Laurence-Moon-Biedl syndrome
4. Marfan syndrome

Correct answer: 4. Marfan syndrome

Explanation: The presentation in the question is of a patient with Marfan syndrome.
• Marfan syndrome is caused by a mutation in a single allele of the fibrillin gene (FBN1).
• The gene product is a major component of elastin-associated microfibrils. Long, thin extremities; ectopia lentis, and aortic aneurysms are the classical triad.
• Mutations in the FBN2 gene can also cause Marfan syndrome, but without aneurysms